The score used to assess respiratory distress in a preterm neonate is?
1. Ballard
2. Apgar
3. Downe
4. Silverman

Correct answer: 4. Silverman

Explanation: * Silverman score is used to assess respiratory distress in a preterm neonate Components 0 1 2 Upper chest retractions Chest and abdomen rise together Chest wall lags behind abdomen Chest wall and abdomen move in opposite directions(see saw) Lower chest retractions Absent Minimal Marked Xiphisternal retractions Absent Minimal Marked Nasal flare Absent Minimal Marked Grunt None Audible only with stethoscope Audible without stethoscope * Maximum score - 10 and Minimum score- 0 * 0-3 score - Normal ; >7 score - Severe Respiratory Distress OTHER OPTIONS: Apgar score- to evaluate newborn's condition Ballard score- to assess gestational age of newborn Downe score- used to assess respiratory distress in a term neonate